Hyperammonemia type-1 is due to deficiency of
1. Arginase
2. Arginosuccinate lyase
3. Arginosuccinate synthase
4. CPS-1

Correct answer: 4. CPS-1

Explanation: Ans. is 'd' i.e., CPS-1 Disorders caused by genetic defects of urea cycle enzymesHyperammonemia type-I Hyperammonemia type-II Citrullinemia Argininosuccinic aciduria Argi ninemiaDefective enzymeCarbamoyl phosphate synthase-I Ornithine transcarbamoylase Argininosuccinate synthase Argininosuccinate lyase ArginaseProducts accumulatedAmmonia Ammonia Citrulline Argininosuccinate Arginine.